Most common age group affected by streptococcus pyogenes -
1. < 5 years
2. 5 -15 years
3. 20 - 25 years
4. 30 - 40 years

Correct answer: 2. 5 -15 years

Explanation: Ans. is 'b' i.e., 5 - 15 years o Sore throat (tonsillitis) is the most common manifestation of streptococcal infection and affects 5-15 years age group.